Chronic urethral obstruction due to benign prostatic hyperplasia can lead to the following change in kidney parenchyma:
1. Hyperplasia
2. Hypertrophy
3. Atrophy
4. Dysplasia

Correct answer: 3. Atrophy

Explanation: Chronic urethral obstruction because of urinary calculi, prostatic hypertrophy, tumors, normal pregnancy, uterine prolapse or functional disorders cause hydronephrosis which by definition is used to describe dilatation of renal pelvis and calyces associated with progressive atrophy of the kidney due to obstruction to the outflow of urine.